Drug commonly used against enteric fever are all EXCEPT:
1. Amikacin
2. Ciprofloxacin
3. Ceftriaxone
4. Azithromycin

Correct answer: 1. Amikacin

Explanation: AMIKACIN: It is a semisynthetic derivative of kanamycin tc which it resembles in pharmacokinetics, dose and toxicity. The outstanding feature of amikacin is its resistance to bacterial aminoglycoside inactvating enzymes. Thus, it has the widest spectrum of activity, including many organisms resistant to other aminoglycosides. However, relative higher doses are needed for Pseudomonas, Proteus and and Staph. infections. The range of conditions in which amikacin can be used is the same as for gentamicin. It is recommended as a reserve drug for hospital acquired gram-negative bacillary infections where gentamicin/ tobramycin resistance is high It is effective in tuberculosis, but rarely used for this purpose. More hearing loss than vestibular disturbance occurs in toxicity. ESSENTIALS OF MEDICAL PHARMACOLOGY K.D.TRIPATHI SIXTH EDITION PAGE NO:724